Which of the following is a Cluster B personality disorder?
1. Schiziod personality disorder
2. Narcissistic personality disorder
3. Dependant personality disorder
4. Anantastic personality disorder

Correct answer: 2. Narcissistic personality disorder

Explanation: Narcissistic personality disorder is a cluster B personality disorder.
Schiziod personality disorder is a cluster A personality disorder.
Dependant & Anankastic personality disorders are cluster C personality disorder.